Supernumery teeth most common site ?
1. Maxillary incisor and canine
2. Mandibular incisor and canine
3. Maxillary central incisor
4. Mandibular central incisor

Correct answer: 3. Maxillary central incisor

Explanation: supernumerary tooth is common.But most common site is maxillary central incisor . Reference: GHAI Essential pediatrics, 8th edition